Which of the following is complication of heparin?
1. Bleeding
2. Thrombocytopenia
3. Osteoporosis
4. All of the above

Correct answer: 4. All of the above

Explanation: Ans. D. All of the aboveAnticoagulantsHeparin: Activating antithrombin (previously known as antithrombin III)Side Effectsa. Bleedingb. Thrombocytopenia:c. Osteoporosisd. Elevated Levels of Transaminases: without a concomitant increase in the level of bilirubin.